Which of the following lipid lowering agent acts via HMG CoA reductase?
1. Niacin
2. Statins
3. Fibric acid derivatives
4. Bile acid Sequestrant

Correct answer: 2. Statins

Explanation: Ans. B. StatinsStatins are the drugs which inhibit the HMG CoA reductase enzyme. Niacin inhibit the lipase. Fibrates stimulate the PPAR alpha and bile acid Sequestrant binds bile acid in GIT.